Which of the following anticoagulant used in estimating blood glucose prevents glycolysis?
1. Oxalate
2. Citrate
3. Sodium fluoride
4. Heparin

Correct answer: 3. Sodium fluoride

Explanation: Enolase is inhibited by fluoride, and when blood samples are taken for measurement of glucose, glycolysis is inhibited by taking the sample into tubes containing fluoride. Enolase is also dependent on the presence of either Mg2+ or Mn2+ ions. Reference: Harper; 30th edition; Page no: 171